Malrotation presents as -a) Mass abdomenb) Bleeding PRc) Billious vomitingd) Haematemesis
1. a
2. bc
3. ac
4. b

Correct answer: 2. bc

Explanation: "Bilious vomiting is the first sign of volvulus, and all infants with bilious vomiting must be evaluated rapidly to ensure that they do not have intestinal malrotation with volvulus. If left untreated, vascular compromise of the midgut initially causes bloody stools, but eventually results in circulatory collapse." - Schwartz